Which of the following drugs DO NOT cause hyper-prolactinemia?
1. Bromocriptne
2. Haloperidol
3. Reserpine
4. Chlorpromazine

Correct answer: 1. Bromocriptne

Explanation: (Ref: KDT 6/e p236) Hyperprolactinemia is caused by D2 blockers. All the drugs listed are D2 blockers except bromocriptine which is a D2 receptor agonist. It is used in the treatment of hyperprolactinemia.